Which of the following Trinucleotide repeat mutation is present in Huntington's disease?
1. CGG
2. GAA
3. CTG
4. CAG

Correct answer: 4. CAG

Explanation: CAG Disease Repeat Fragile-X syndrome Freidrich ataxia Myotonic dystrophy Huntington disease CGG GAA CTG CAG